The main feature of gonorrhoea is-
1. Purulent discharge per urethra
2. Inguinal adenitis
3. Ulcer over glans penis
4. Rashes

Correct answer: 1. Purulent discharge per urethra

Explanation: A i.e. Purulent discharge per urethra